Following hormonal levels are increased in small cell carcinoma of lung except:
1. ACTH
2. Growth hormone
3. ANF
4. AVP

Correct answer: 2. Growth hormone

Explanation: Property Small cell carcinoma Location Central location Paraneoplastic syndrome ACTH Calcitonin Gastrin Releasing peptide AVP ANF Response to chemotherapy Superior response